Dopamine receptor agonist -
1. Methyldopa
2. Bromcriptine
3. Haloperidol
4. Morphine

Correct answer: 2. Bromcriptine

Explanation: Ans. is 'b' i.e., Bromocriptine Drugs causing hyperprolactinemiao Prolactin is under predominant inhibitory control of hypothalamus through prolactin releasing inhibitory hormone (PR1H).o PRIH is a dopamine that acts on pituitary lactotrope D. receptor.o So, Dopaminergic agonists decrease plasma prolactin levels. These agonists are : Dopamine # Cobergoline Bromocriptine # Apomorphineo Dopaminergic antagonists and DA depleters will increase prolactin level Dopaminergic Antagonists are :Dopamine deters are :o Chlorpromazineo Reserpineo Haloperidolo Methyl dopao Metoclopram ide Other drugs increasing prolactin releaseo Opiateso Verapamilo Amitriptyline, amoxapineo Cimetidine& ranitidineo Fluoxetino Estrogens, antiandrogens